Structures passing deep to flexor retinaculum are all except -
1. Flexor digitorum superficialis
2. Palmaris longus
3. Flexor digitorum profundus
4. Flexor pollicis longus

Correct answer: 2. Palmaris longus

Explanation: Structures superficial to flexor retinaculum

        Palmaris longus
       Ulnar vessels and nerve
        Palmar cutaneous branches of median and ulnar nerves.

 Structures deep to flexor retinaculum

      Median nerve
      Flexor digitorum superficialis
      Flexor digitorum profundus
      Flexor pollicis longus
      Flexor carpi radialis